True of malaria diagnosis -
1. Thick smear is gold standard to identify species
2. Thin smear is better to identify species
3. All have same incubation
4. Antibody detection is used for rapid diagnosis

Correct answer: 2. Thin smear is better to identify species

Explanation: 1. Examination of peripheral blood smears (thin and thick blood films): Gold standard method: Thick smear: More sensitive (40 times), used for quantification and malaria pigment detection Thin smears: Used for speciation Feathery tail end of the smear should be examined At least 200-300 oil immersion fields should be examined before considered as negative. 2. Incubation periods- P. vivex: 14 days, P. falciparum: 12 days, P. malariae: 28 days, P. ovale: 17 days. 4. Ab detection in serum is not used for diagnosis of malaria. It is useful for - Epidemiological survey in malaria Screening of blood bank